A 40 yrs old man presented with repeated episodes of bronchospasm and hemoptysis .chest X-RAY revealed perihilar bronchiectasis.the most likely diagnosis is
1. Sarcoidosis
2. Idiopathic pulmonary fibrosis
3. Extrinsic allergic alveolitis
4. Bronchopulmonary aspergillosis

Correct answer: 4. Bronchopulmonary aspergillosis

Explanation: The predominant clinical presentation of ABPA is an asthmatic phenotype, often accompanied by cough with production of brownish plugs of mucus. ABPA has also been well described as a complication of cystic fibrosis. Ref Harrison 19th edition pg 1686